Which among the following serves as the selective media for vibrio?
1. TCBS
2. Stuart
3. Skirrows
4. MYPA

Correct answer: 1. TCBS

Explanation: TCBS (thiosulfate-citrate-bile salt-sucrose agar) is the selective medium for Vibrio cholerae. It can grow on blood agar and MacConkey agar. Stuart transport medium is used for CSF, cervical and various other specimens. This medium preserves both Neisseria spp and Trichomonas vaginalis. Skirrow's medium is used to isolate Campylobacter. Mannitol, egg yolk, phenol red and polymyxin agar (MYPA) are the selective medium used for isolation of B.cereus from feces and other sources. Ref: Ray C.G., Ryan K.J. (2010). Chapter 32. Vibrio, Campylobacter, andHelicobacter. In C.G. Ray, K.J. Ryan (Eds), Sherris Medical Microbiology, 5e. Med Lab Tech Vol 2, 2/E By Kanai. L Mukherjee page 477,